From which of the following is the duodenum derived?
1. Foregut
2. Midgut
3. Foregut and midgut
4. Midgut and hindgut

Correct answer: 3. Foregut and midgut